Thalidomide is used in
1. Lepra 2 reaction
2. MM
3. Ulcerative Colitis
4. All of the above

Correct answer: 4. All of the above

Explanation: All of the above Thalidomide is used for lepra II reaction. Recently it is used for Multiple myeloma & also as a immunosuppressive agent so is being used for treatment of ulcerative colitis.